Orbital apex syndrome constitutes all except -
1. Ptosis
2. CSF rhinorrhea
3. Ophthalmoplegia
4. Pain over distribution of optic nerve

Correct answer: 2. CSF rhinorrhea

Explanation: Orbital apex syndrome refer to symptom complex prodused by involvement of structures present at the apex of orbit ie, structures passing through superior orbital fissure and optic canal. Ref. Ak khurana 6th edition pg no 413